Which of the following prevent extrusion and lateral tooth movement
1. Alveolar crest group
2. Horizontal group
3. Oblique group
4. Apical group

Correct answer: 1. Alveolar crest group